Fimbriectomy procedure done for the purpose of female sterilization is known as:-
1. Uchida method
2. Irving method
3. Madlener technique
4. Kroener method

Correct answer: 4. Kroener method

Explanation: Fimbriectomy /Kroener method Excision of fimbriae has been abandoned since there is almost no no potential for reversibility if required. Not usually performed now. Madlener procedure, which involves Only Crushing of the fallopian tube has an inherent failure chance since the tube is not resected, similarly is abandoned as a ligation procedure. Techniques of tubal ligation Pomeroy: middle portion of tube is formed into a loop, ligated with single ligature, loop is cut and excised (Failure rate: 0.4%) Modified pomeroy: excision of mid portion of tube after ligation with two separate sutures (Failure rate: 0.4%) Madlener: loop is crushed and ligated (Failure rate: 7%, abandoned technique) Irving: midportion is ligated, intervening part excised, proximal end buried in myometrium and distal part buried in broad ligament. Mostly irreversible. Uchida: tubal serosa is stripped off muscle layer, mid portion of muscle layer excised, proximal end buried in broad ligament. Minimal excision of tube preserves chances for reversal surgery. Kroners Fimbriectomy: excision of fimbria, irreversible